Which pathway can use propionic acid ?
1. Glycolysis
2. Gluconeogenesis
3. Glycogenolysis
4. Glycogenesis

Correct answer: 2. Gluconeogenesis

Explanation: Fats cannot be converted to carbohydrates because link reaction is irreversible. EXCEPTIONS are: 1. Glycerol breaks down products of triglycerides 2. Propionic acid can be converted into carbohydrate Odd chain fatty acid can act as substrates of Gluconeogenesis, sincePropionyl CoA,the product of their oxidationcan enter TCA cycle through formation of Succinyl CoA (see fig), hence can contribute towards glucose production.